All of the following are types of avascular nonunion of fracture except
1. Torsion wedge nonunion
2. Oligotrophic nonunion
3. Comminuted nonunion
4. Defect nonunion

Correct answer: 2. Oligotrophic nonunion

Explanation: Definition (FDA panel) of nonunion: It is said to be established when a minimum of 9 months has elapsed since injury and fracture shows no radiologically visible progress suggestive of healing continuously for 3 months.